Rectal temperature in hypothermia should be < than_______degree Celsius?
1. 35
2. 35.5
3. 36
4. 36.5

Correct answer: 1. 35

Explanation: Ans. (a) 35 degrees CelsiusRef.: Harrison 18th edition, Chapter 19Accidental hypothermia occurs when there is an unintentional drop in the body's core temperature below 35degC (95degF). At this temperature, many of the compensatory physiologic mechanisms that conserve heat begin to fail. Primary accidental hypothermia is a result of the direct exposure of a previously healthy individual to cold. The mortality rate is much higher for patients who develop secondary hypothermia as a complication of a serious systemic disorder